All are germ cell tumors except ?
1. Seminoma
2. Leydig cell tumor
3. Embryonal carcinoma
4. Endodermal sinus

Correct answer: 2. Leydig cell tumor

Explanation: Ans. is 'b' i.e., Leydig cell tumor